Cold caloric test stimulates
1. Cochlea
2. Lateral semicircular canal
3. Posterior semicircular canal
4. All

Correct answer: 2. Lateral semicircular canal

Explanation: Stimulation of semicircular canal produces nystagmus and the direction of nystagmus is determined by the plane of the canal being stimulated. In cold caloric test, the lateral semicircular canal is stimulated. (Ref: Diseases of EAR, NOSE AND THROAT by PL DHINGRA - 6th Edition)